Diabetic neuropathy is a:
1. Distal symmetric sensory polyneuropathy
2. Mononeuritis
3. Autonomic neuropathy
4. All above

Correct answer: 4. All above

Explanation: ANSWER: (D) All aboveREF: Harrison 16th ed page 2165'Diabetic neuropathy occurs in 50% of individuals with long-standing type 1 and type 2 DM. It may manifest as polyneuropathy, mononeuropathy, and/or autonomic neuropathy""Most common form of diabetic neuropathy is distal symmetric polyneuropathy. It most frequently presents with distal sensory loss."